Chances of an offspring being affected when one parent is autosomal dominant heterozygote
1. 25%
2. 50%
3. 100%
4. None

Correct answer: 2. 50%

Explanation: Robbins basic pathology 9th edition page no 219 Disorders of autosomal dominant inheritance are manifested in the heterozygous state, so atleast one parent in an index case usually is affected. When an affected person marries an unaffected person, every child has onr chance in two of having the disease.